Dr. Nitin decided to give oral iron therapy to a patient of iron deficiency anemia. Which of the following adverse effects leads to poor compliance of medicine by the patient?
1. Epigastric pain and bowel upset
2. Black stools
3. Staining of teeth
4. Metallic taste

Correct answer: 1. Epigastric pain and bowel upset